Fixed post mitotic cells are:
1. Spermatocytes
2. Fibroblasts
3. Endothelial cells
4. Muscle

Correct answer: 4. Muscle